What is the 1st thing to be done to a patient with tension pneumothorax-
1. Insertion of wide bore needle in the inter costal space
2. Water seal drainage
3. Leave the patient at rest for air to be absorbed
4. None

Correct answer: 1. Insertion of wide bore needle in the inter costal space

Explanation: Tension should be immediately released by placement of a large bore needle followed immediately by insertion of a thoracostomy tube.